Richter's hernia can be seen in all hernia except
1. Femoral
2. Obturator
3. Epigastric
4. Para umbilical

Correct answer: 3. Epigastric